Which of the following is FALSE regarding cerebral microbleeds (CMBs)?
1. Small areas of hyperintensity on T2-weighted brain MRI imaging seen
2. Lobar CMBs are likely have cerebral amyloid angiopathy
3. Hypertension is a common etiology
4. Can contribute to cognitive decline

Correct answer: 1. Small areas of hyperintensity on T2-weighted brain MRI imaging seen

Explanation: Cerebral microbleeds (CMBs), are small areas of hypointensity on T2-weighted brain MRI imaging. CMBs can contribute to cognitive decline, their exact etiology remains uncertain New studies emerges in which patients with purely lobar CMBs likely (but perhaps not always) have cerebral amyloid angiopathy, but those with purely deep locations of CMBs and those with a mix of lobar and deep CMBs likely have underlying vascular disease e.g. hypertension as the etiology. Ref: Park J-H et al. Pathogenesis of cerebral microbleeds: In vivo imaging of amyloid and subcortical ischemic small vessel disease in 226 individuals with cognitive impairment. Ann Neurol, 2013.